BMI obesity starts:
1. 25
2. 30
3. 35
4. 40

Correct answer: 2. 30

Explanation: Ans. (b)~30Ref : K. Park 23rd ed. / 399-400* BMI is Body Mass Index, aka Quetlets Index.* It is calculated as: BMI = weight (kg)/height (m)2ClassificationBMIUnderweight<18.5Normal BMI18.5-24.99Overweight/pre-obese25-29.99Obesity>30.0* Grade I* Grade II* Grade III* 30-35* 35-40* >50